Which of the following is not true regarding Stein-Leventhal Syndrome?
1. Increased androgens
2. Decreased FSH levels
3. Increased GnRH levels
4. Decreased LH levels

Correct answer: 4. Decreased LH levels

Explanation: LH level is increased in PCOs (Stein-Leventhal Syndrome)